Treatment of lepromatous leprosy is :
1. Rifampicin + Dapsone
2. Rifampicin + Clofazimine
3. Rifampicin + Dapsone + Clofazimine
4. Rifampicin + Ofloxacin + Minocycline

Correct answer: 3. Rifampicin + Dapsone + Clofazimine